Impotent female is having -
1. Gonadal dysgenesis
2. Hermaphrodits
3. Vaginismus
4. Absence of ovary

Correct answer: 3. Vaginismus

Explanation: Ref: Synopsis of Forensic medicine and Toxicology (Dr.K.S.Narayana Reddy) Pg 200 In females impotence is of an active nature , leading to vaganismus . vaginisumus is a spasmodic contraction of vagina due to hyperesthesia .it's a classical example of psychosomatic illness .anatomically, it may affect the perineal muscles exclusively or may felt as a constriction of the levator ani , right up to vaginal fornices .this a definite cramp like spasam of the adductor muscles .the vagainal hypersthesia starts at the vaginal introitus . the spastic contraction of the vaginal outlet is completely involuntary reflex, at vaginal penetration. In fully developed state, penetration by the penis is impossible.thus she becomes impontant. In case of Gonadal dysgenesis , Hermaphrodits and Absence of ovary ,it doesn't interfere with vaginal penetration and participation in coitus, those females are not impotent but may be infertile.